Which is an example of type-III hypersensitivity
1. Contact dermatitis
2. Hemolytic anemia
3. Serum sickness
4. Good pasture syndrome

Correct answer: 3. Serum sickness

Explanation: Serum sickness is type III hypersensitivity reaction. Type III hypersensitivity reaction is immune complex diseases. Damage is caused by antigen- antibody complexes. These may precipitate in and around small blood vessels causing damage to cells secondarily or on membranes, interfering with their function. Reference : Anathanarayan & paniker's 9th edition, pg no:162